NOT an indication for surgery in Ventricular septal
defect
1. Hepatomegaly
2. Suck- Rest-Suck cycle while feeding
3. Pulmonary: Systemic blood flow > 2:1
4. Eisenmenger's Syndrome

Correct answer: 4. Eisenmenger's Syndrome

Explanation: Eisenmenger's Syndrome is an absolute contraindication for Surgery in Ventricular septal defect.